Which among the following drug is not used in the
treatment of Tetralogy of Fallot?
1. β blocker
2. α agonists
3. Calcium channel blockers
4. Morphine

Correct answer: 3. Calcium channel blockers

Explanation: Calcium channel blockers reduce systemic Vascular resistance which incsceases blood flow into Aorta and decreases blood to pulmonary vasculature. This adds to the pathology and worsens the condition.